Newborn loses how much weight in first week ?
1. 5-10%
2. 1-2%
3. 10-20%
4. None

Correct answer: 1. 5-10%

Explanation: O.P.Ghai 9th edition - page 13